Most common type of breast carcinoma is:
1. Lobular
2. Sarcoma
3. Ductal
4. Granuloma

Correct answer: 3. Ductal

Explanation: Ans. C: Ductal Ductal carcinoma in situ (DCIS): DCIS, the most common type of non-invasive breast cancer, is confined to the ducts of the breast. DCIS is often first detected on mammogram as microcalcifications (tiny calcium deposits). With early detection, the five-year survival rate for DCIS is nearly 100%, provided that the cancer has not spread past the milk ducts to the fatty breast tissue or any other regions of the body. There are several different types of DCIS. For example, ductal comedocarcinoma refers to DCIS with necrosis (areas of dead or degenerating cancer cells). Infiltrating ductal carcinoma (IDC): IDC is also known as invasive ductal carcinoma. IDC begins in the milk ducts of the breast and penetrates the wall of the duct, invading the fatty tissue of the breast and possibly other regions of the body. IDC is the most common type of breast cancer, accounting for 80% of breast cancer diagnoses.